The neurotransmitter in the autonomic ganglia is
1. Adrenaline
2. Noradrenaline
3. Acetylcholine
4. Nicotine

Correct answer: 3. Acetylcholine

Explanation: Acetylcholine is the neurotransmitter in NMJ, in autonomic ganglia, and in postganglionic parasympathetic nerve target organ junctions and some postganglionic sympathetic nerve target junctions.(Ref: Ganong's review of medical physiology; 23rd edition; pg:134)